All of the following vitamins are antioxidants, EXCEPT:
1. Vitamin A
2. Vitamin C
3. Vitamin K
4. Vitamin E

Correct answer: 3. Vitamin K

Explanation: Remember the antioxidant vitamins by the mnemonic ACE or CEA. Note that it is the b carotene form of Vitamin A. b-carotene and vitamin E are lipid phase anti-oxidant. Vitamin C is an aqueous phase antioxidant. Extra Edge: Vitamin E is a chain breaking antioxidant.